Fibro cartilage is found in
1. Costal cartilage
2. Nasal septum
3. Intervertebral disc
4. Auditory tube

Correct answer: 3. Intervertebral disc

Explanation: Fibrocartilage is shock absorber which provides strength to cartilage and is found in Intervertebral disc. Costal cartilage and nasal septum are made up of Hyaline Cartilage. Auditory tube has elastic cartilage.